Which of the following statements is true regarding hemangioma of the bone -a) Occurs common in skull bonesb) Requires observation as it is premalignantc) Hamartomous in origind) Forms 10-12% of the bone tumorse) Local gigantism occurs when it occurs in an extremity
1. acd
2. bde
3. ace
4. ade

Correct answer: 3. ace